Which of the following is an ocular side-effect of HAART therapy
1. Retinitis
2. Uveitis
3. Optic neuritis
4. Scleritis

Correct answer: 2. Uveitis

Explanation: Ans. b. Uveitis Impact of highly active antiretroviral therapy on ophthalmic manifestations in human immunodeficiency virus: Before the introduction of HAART, CMV retinitis affected 30-40% of HIV-infected individuals. At that time a study from our center documented CMV retinitis and cotton-wool spots caused by HIV-related microvasculopathy as the most frequently encountered ocular lesions. Additionally, a study conducted at our center in Indian children infected with HIV found a high prevalence of ocular and systemic lesions, most commonly anterior uveitis followed by CMV retinitis. Since the advent of HAART, immune recovery uveitis (IRU) has become an ocular manifestation described in patients with inactive CMV retinitis.